Transobturator tape approach in treatment of urinary incontinence is known to
1. Increased long term efficacy than TVT.
2. Reduce vascular and lower urinary tract injury risks.
3. Overlie over proximal tendon of adductor magnus.
4. Traverse retropubic space, causing neurovascular injury.

Correct answer: 2. Reduce vascular and lower urinary tract injury risks.

Explanation: TOT approach was introduced with the intention to reduce vascular and lower urinary tract injury risks that can be associated with traversing retropubic space.